Which of the following is predominantly involved in Alzheimer's dementia:
1. Frontal cortex
2. Temporo-Parietal cortex
3. Fronto-Parietal cortex
4. Franto-Temporal cortex

Correct answer: 2. Temporo-Parietal cortex

Explanation: Answer is B (Temporo-Parietal cortex):Alzheimer's disease predominantly affects the temporoparietal cortex although frontal lobe is also frequently involvedAlzheimer's disease predominantly affects the temporo-parietal cortex' - Alzheimer's Disease by Terry Regional deficits are most prominent in the temporo-parietal cortex' - Alzheimer's Disease by Terry